Staph.aureus causes vomiting in 6-8 hours. The mechanism of action is:
1. Stimulation of cAMP
2. Vagal stimulation
3. Stimulation of cGMP
4. Acts through ganglioside GM receptor

Correct answer: 2. Vagal stimulation

Explanation: From Harrison:
“Staph. food poisoning result from heat stable preformed enterotoxin. Due to preformed nature, incubation period is short. Toxin stimulates the vagus nerve and vomiting centre of brain. It also appears to stimulate intestinal persistaltic activity”.